Most common Newborn rash which presents at 24 - 48 hours of life is
1. Erythematous papular pustular lesions
2. Milia
3. Transient neonatal pustular melanosis
4. Haemangioma

Correct answer: 1. Erythematous papular pustular lesions

Explanation: Most common Newborn rash which presents at 24 - 48 hours of life is Erythematous papular pustular lesions . Reference: GHAI Essential pediatrics, 8th edition